FIGO staging is used in :
1. Carcinoma breast
2. Bone tumour
3. Leukaemia
4. Carcinoma cervix

Correct answer: 4. Carcinoma cervix

Explanation: Carcinoma cervix